Lipids are transferred from intestine to liver by
1. Chylomicrons
2. VLDL
3. HDL
4. LDL

Correct answer: 1. Chylomicrons